Glue Ear shows
1. Cart wheel appearance of Tympanic membrane
2. Blue Tympanic membrane with Air bubbles
3. Purulent discharge
4. Painful Ear

Correct answer: 2. Blue Tympanic membrane with Air bubbles